The characteristic symptom of asthma –
1. Clubbing
2. Wheezing
3. Stridor
4. Bradycardia

Correct answer: 2. Wheezing

Explanation: Clinical manifestations of asthma

Wheezing Mast characteristic of asthma                                      
Flaring of nostrils                                                                          
Fatigue
A cough   
Cyanosis
Dyspnea       
Apprehension, restlessness    
Tachycardia     
Pulsus paradoxus                                                                    
Hyper-resonant chest                
In chronic cases, chest becomes barrel shaped   
Cardiac arrhythmias due to sever hypoxemia                                                
Intercostal and suprasternal retraction → Excessive use of accessory muscles of respiration.